The storage triacylglycerol are hydrolysed by:
1. Pancreatic lipase
2. Lipoprotein lipase
3. Lysosomal lipase
4. Hormone sensitive lipase

Correct answer: 4. Hormone sensitive lipase

Explanation: Ans. D. Hormone sensitive lipase(Ref: Harper 31/e page 244)Pancreatic lipase to hydrolyse dietary TGsLipoprotein lipase to hydrolyse TGs in lipoprotein in the bloodLysosomal hydrolase to act on TGs in lysosomes